Granulomatous uvetis is seen in:
1. Vogt-Koyanagi-Harada disease
2. Fuch's disease
3. Bechet's syndrome
4. Psoariasis

Correct answer: 1. Vogt-Koyanagi-Harada disease

Explanation: Ans. Vogt-Koyanagi-Harada disease